Function of reverse transcriptase:
1. RNA dependent DNA synthesis
2. DNA dependent RNA synthesis
3. DNA dependent DNA synthesis
4. RNA dependent RNA synthesis

Correct answer: 1. RNA dependent DNA synthesis

Explanation: Ans. a. RNA dependent DNA synthesis